Taste sensations from anterior 2/3rd of tongue are carried by -
1. Glossopharyngeal
2. Chorda tympani
3. Trigeminal
4. Greater auricular

Correct answer: 2. Chorda tympani

Explanation: Ans. is 'b' i.e., Chorda tympani Nerve supply of tongue General sensoryTasteAnterior 2/3rd (Oral part)LingualChordatympaniPosterior 1/3rd (Pharyngeal part)GlossopharyngealGlossopharyngealPosterior most part (Vallecula)Laryngeal branch of vagusInternal laryngeal branch of vagus